The side towards which mandible moves is called the:
1. Tooth contact side
2. Balancing side
3. Working side
4. Non — working side

Correct answer: 3. Working side